Geographic lytic lesions in the vault of skull with beveled edges are seen with –
1. Multiple myeloma
2. Eosinophilic granuloma
3. Hyperparathyroidism
4. Reticular cell Ca

Correct answer: 2. Eosinophilic granuloma

Explanation: Punched out lesions of skull are seen both in Eosinophilic granuloma and multiple myeloma. However, beveled edges (double contour) is characteristic of eosinophilic granuloma due to uneven destruction of the inner and outer table of the skull.

           Punched out lesions of skull                    →  Multiple myeloma
           Punched out lesions with beveled edges   →  Eosinophilic granuloma